All of the following are true regarding Guillain-Barre syndrome except:
1. Peripheral nervous system is affected
2. Histologically there is inflammation of peripheral nerv
3. Descending paralysis
4. Elevated CSF proteins

Correct answer: 3. Descending paralysis

Explanation: Ans. C: Descending paralysis Guillain-Barre syndrome, a disease of the peripheral nervous system, is characterized by weakness beginning in the distal limbs but rapidly advancing to affect proximal muscle function ("ascending paralysis"), and histologically by inflammation and demyelination of spinal nerve roots and peripheral nerves (radiculoneuropathy). There is elevation of the CSF protein due to inflammation and altered permeability of the microcirculation within the spinal roots as they traverse the subarachnoid space. Inflammatory cells are contained within the roots, however, and there is little to no CSF pleocytosis.